All are alkylating agent except:
1. Busulfan
2. Melphalan
3. Cladribine
4. Cyclophosphamide

Correct answer: 3. Cladribine

Explanation: Ans. C. CladribineAlkylating agents are cyclophosphamide, ifosfamide, busulfan melphalan, carmustine, lomustine. cladribine is antimetabolite.